A 50-year-old male with a positive family history of prostate cancer has come to you for a screening test. The most sensitive screening test to pickup prostate cancer is:
1. DRE
2. PSA
3. DRE + PSA
4. Endorectal Coil MRI with T1W and T2W images

Correct answer: 3. DRE + PSA

Explanation: Smith's Urology writes - "At the present time the data suggest that if screening is done, the combination of DRE & Serum PSA is best."
The diagnosis of Ca Prostate is established by TRUS-guided transrectal biopsy.